True about Toxaplasma gondii is, it is carried by -
1. Cats
2. Dogs
3. Rats
4. Cow

Correct answer: 1. Cats

Explanation: Cat and felines-definite host Only the asexual forms,trophozoites and tissue cysts are found in other animals including humans and birds which act as intermediate host(refer pgno:64 baveja 3 rd edition)